The apex of the Bonwill's Triangle is located at the:
1. Anterior tip of the incisive papilla
2. Upper central incisor's contact point
3. Anterior most point on the chin
4. Lower central incisor's contact point

Correct answer: 4. Lower central incisor's contact point

Explanation: Bonwill triangle - An equilateral triangle formed by lines from the contact points of the lower central incisors, or the medial line of the residual ridge of the mandible, to the condyle on either side and from one condyle to the other.